MRS A do not show sensitivity to:
1. Aminoglycosides
2. Oxazolididinone
3. Lincosamide
4. Carbapenem

Correct answer: 4. Carbapenem

Explanation: Ans: d (Carbapenem)Ref: Koneman's colour atlas and text book of diagnostic microbiology, 6th ed, Pg. 1006-07; Jawetz medical Microbiology, 25th ed. Pg. 190.Methicillin resistant Staphylococcus aureusChromosomal mediated resistanceDecrease in affinity of penicillin binding protein (PBP)to beta lactam antibiotics (mec A gene to PBP 2a )Expressed better at 30deg CIf resistance to nafciliin, oxacillin or methicillin is demonstrated, the bacterial strain should be reported as resistant to other beta lactam antibiotics including all cephalosporins, such as cefazolin or cephalothin and the carbapenem antibiotic imipenem.Vancomycin is the drug of choice of MRSA infections.Alternatives include daptomycin, linezolid (oxazoldinones) and Quinupristin- dalfopristin (Streptogramin).In deep infections, like osteomyelitis and endocarditis,depending on the susceptibility, a combination of Vancomycin with aminoglycosides, rifampicin andcotrimoxazole can be used.